Pauci immune glomerulonephritis is seen in the following condition:
1. After transplant in Alpers
2. Microscopic polyangiitis
3. Henoch-Schonlein nephritis
4. Lupus

Correct answer: 2. Microscopic polyangiitis

Explanation: Pauci-immune necrotizing glomerulonephritis is caused by the following systemic ANCA-associated small-vessel vasculitides: Granulomatosis with polyangiitis (formerly known as Wegener granulomatosis) Microscopic polyangiitis Churg-Strauss disease Ref: Watnick S., Dirkx T. (2013). Chapter 22. Kidney Disease. In M.A. Papadakis, S.J. McPhee, M.W. Rabow (Eds), CURRENT Medical Diagnosis & Treatment 2013.